Anticentromere antibodies are most commonly associated with:
1. Diffuse cutaneous systemic sclerosis
2. Mixed connective tissue disease
3. CREST syndrome
4. Polymyositis

Correct answer: 3. CREST syndrome

Explanation: Anti-centromere antibodies react with protein antigens located in the kinetochore region of chromosomes and are present in 40 to 80% of patients with limited cutaneous scleroderma or CREST syndrome. So CREST syndrome is the single best answer of choice. Ref: Harrisons Principles of Internal Medicine, 16th Edition, Pages 1979, 1986.